HLA B27 antigen is associated with all of the following disease except
1. Ankylosing spondylitis
2. Reiter's syndrome
3. Psoriatic arthorpathy
4. Rheumatoid arthritis

Correct answer: 4. Rheumatoid arthritis

Explanation: REF:HARRISONS PRINCIPLE'S OF INTERNAL MEDICINE 18TH EDITION